If posterior epistaxis cannot be controlled, which artery is ligated:
1. Posterior ethmoidal artery
2. Maxillary artery
3. Sphenopalatine artery
4. External carotid artery

Correct answer: 3. Sphenopalatine artery

Explanation: Ligation technique is reserved for intractable bleeding where the source cannot be located or controlled by other techniques. The hierarchy of arteries used for ligation is: Sphenopalatine artery Internal maxillary artery External carotid Artery Anterior/posterior ethmoidal artery Earlier the most common artery ligated was maxillary artery but now endonasal sphenopalatine artery ligation (ESPAL) is the ligation of choice